Amount of ORS to be given in the first 4 hours to a child with some dehydration is -
1. 50 ml/kg body wt
2. 75 ml/kg body wt
3. 100 ml/kg body wt
4. 200 ml/kg body wt

Correct answer: 2. 75 ml/kg body wt